Use of Ergotamine is contraindicated:
1. Diabetes mellitus
2. Anemia
3. Ischaemic heart disease
4. PPH (Postpartum haemorrhage)

Correct answer: 3. Ischaemic heart disease

Explanation: Ergotamine is a vasoconstrictive agent. The Vasoconstriction induced by Ergotomine is usually severe and prolonged and is very difficult to reverse. It is most commonly used for relieving migraine headaches and contraindicated in Ischaemic Heart Disease. Ref: KDT, 6th Edition, Page 168; Basic and Clinical Pharmacology By Bertram Katzung, 10th Edition, Page 274